A subconjunctival hemorrhage occurs in all conditions except –
1. Passive venous congestion
2. Pertussis
3. Trauma
4. High intraocular tension

Correct answer: 4. High intraocular tension

Explanation: Trauma, pertusis and venous congestion can cause subconjunctival hemorrhage.